Which one of following is Polysaccharide vaccine:-
1. Pertussis
2. Hepatitis B
3. Meningococcal
4. Yellow fever

Correct answer: 3. Meningococcal

Explanation: Polysaccharide vaccines are: Typhim-Vi Pneumococcal vaccine Meningococcal vaccine Hib.